Treatment of choice for late cardiovascular syphilis is?
1. Benzathine penicillin 7.2 million units in three divided doses
2. Benzathine penicillin 2.4 million units single dose
3. Benzylpenicillin 12-24 million units for 21 days
4. Tetracycline 2g daily

Correct answer: 1. Benzathine penicillin 7.2 million units in three divided doses

Explanation: Treatment of choice for late cardiovascular syphilis : Benzathine penicillin 7.2 million units in three divided doses, once a week. Benzathine penicillin G, 2.4 million units intramuscularly once a week for 1-3 weeks, is effective in the treatment of syphilis.